Which test is performed to detect stunned (reversible) myocardial ischemia?
1. Coronary angiography.
2. PET scan
3. ECG
4. Resting echocardiography

Correct answer: 2. PET scan

Explanation: Ans. B. PET scana. PET scan is a type of nuclear scan.b. LV dysfunction can be due to non-contractile or hypercontractile segments that are viable but are chronically ischemic (Hibernating Myocardium).